True about eschar is all except
1. Thrombosed superficial veins
2. Contracted dermis
3. Sensitive to touch
4. Charred, denatured full thickness burn

Correct answer: 3. Sensitive to touch

Explanation: Eschar is insensitive area.